Which ofthe following statements is true about rabies virus -
1. It is double stranded RNA virus
2. Contains a DNA-dependent RNA polymerase
3. RNA has a negative polarity
4. Affects motor neurons

Correct answer: 3. RNA has a negative polarity